Tertiary chorionic villi develop at?
1. Day 28
2. Day 25
3. Day 17
4. Day 15

Correct answer: 3. Day 17

Explanation: Tertiary chorionic villi develop at day 17-21